Vaginal defense mechanism depends upon which hormone?
1. Estrogen
2. Progesterone
3. FSH
4. LH

Correct answer: 1. Estrogen

Explanation: Vaginal defense mechanism depends upon Estrogen Estrogen is responsible for maturation of superficial cells of vaginal epithelium and maintaining acidic environment in the vaginal secretions. This acidity is mainly responsible for resistance of vagina to pathogenic organisms. During the reproductive period with high estrogen, the vaginal defense is maximum Post menopause, after the withdrawal of estrogen,the vaginal defense is lost.